A patient has hypocalcaemia which was the result of a surgical complication. Which operation could it possibly have been -
1. Nephrectomy
2. Thyroidectomy
3. Gastrectomy
4. Vocal cord tumour biopsy

Correct answer: 2. Thyroidectomy